All are true regarding vitamin D, except ?
1. Sunlight is important
2. 1-hydroxylation in liver
3. Active form is calcitriol
4. RDA is for children is 400 IU

Correct answer: 2. 1-hydroxylation in liver

Explanation: Ans. is 'b' i.e., 1-hydroxylation in liver